Which of the following is a selective shunt
1. Proximal spenorenal shunt
2. Warren shunt
3. Side-to-side portocaval shunt
4. Mesocaval shunt

Correct answer: 2. Warren shunt

Explanation: Types of Portosystemic shunt Non-selective Divert all portal flow away from the lliver End - to- end or side - to-side anastomosis >11 mm Side-to-side shunts decompress varices and decompress the obstructed sinusoids, alleviate ascites Selective Only decompress the gastroesophageal and splenic segments Distal splenorenal shunt(Warren shunt) Inokuchi shunt consists of Interpostion of a vein graft between the left gastric or coronary vein and IVC Partial Only diverts part of portal venous flow Side-to-side anastomosis <10mm diameter Ref: Sabiston 20th edition Pgno : 1444